Which one of the following is not a characteristic feature of rheumatoid arthritis ?
1. Sacroiliitis
2. Metacarpophalangeal joint involvement
3. Symmetrical arthritis
4. Positive rheumatoid factor

Correct answer: 1. Sacroiliitis